Volatile agent which causes most renal toxicity is
1. Ether
2. Isoflurane
3. Methoxyflurane
4. Sevoflurane

Correct answer: 3. Methoxyflurane

Explanation: Methoxyflurane is most metabolized and produces more than 80 micromol/litre of flouride in blood. The amount of fluoride ions produced: Methoxyflurane: 50uM Sevoflurane: 20-30 uM Enflurane: 20uM Isoflurane and desflurane: 5uM